Cystitis is most commonly caused by :
1. E. coli
2. Pseudomonas
3. Proteus mirabilis
4. Neisseria gonorrhea

Correct answer: 1. E. coli

Explanation: E. coli